What is the best method for confirming amyloidosis :-
1. Colonoscopy
2. Sigmoidoscopy
3. Rectal biopsy
4. Tongue biopsy

Correct answer: 3. Rectal biopsy

Explanation: Answer is C (Rectal biopsy): Rectal biopsy is single best answer amongst the options provided. The systemic amyloidosis offer a choice of biopsy sites. Abdominal fat aspirates or renal or rectal biopsies are often preferred'. - Harrison